Most common site for carcinoma of pancreas ?
1. Head
2. Ampulla
3. Body
4. Tail

Correct answer: 1. Head

Explanation: Ans. is 'a' i.e., Head Pancreatic carcinoma o Pancreatic carcinoma is the most common malignant tumor of pancrease. Risk factors Smoking --> Most consistent risk factor. o Obesity o High fat, low fibre diet. o Chronic pancreatitis o Diabetes Pathology o Pancreatic carcinoma are ductal adenocarcinomas. o Most common site is head of pancrease. The distribution is as follows. o Head (70%) o Body (20%) o Tail (10%)